The second number in a four number instrument formula denotes
1. Blade angle
2. Blade length
3. Primary cutting edge angle
4. Blade width

Correct answer: 3. Primary cutting edge angle